Fraying of anterior ends of ribs is seen in
1. Scurvy
2. Rickets
3. Down syndrome
4. Osteoporosis

Correct answer: 2. Rickets

Explanation: Ans. Rickets